Which of the following is not converted into an active metabolite?
1. Lisinopril
2. Fluoxetine
3. Cyclophosphamide
4. Diazepam

Correct answer: 1. Lisinopril

Explanation: prodrugs are converted into active metabolites all ACE inhibitors except captopril and lisinopril are prodrugs lisinopril: It is the lysine derivative of enalaprilat: does not require hydrolysis to become an active ACE inhibitor. Fluoxetine has an active demethylated metabolite Diazepam has an active metabolite Desmethyl-diazepam, oxazepam Cyclophosphamide have active metabolite Aldophosphamide, .phosphorarmide mustard, acrolein Ref ;KD Tripathi pharmacology 7th edition (page no; 503,461,22,23)